Ideal pulpal depth for amalgam restoration in a primary molar is
1. 0.5 mm from DEJ
2. 1 mm from enamel surface
3. 1.5 mm from DEJ
4. 3.2 mm from enamel surface

Correct answer: 1. 0.5 mm from DEJ